Mechanism of action of lovastatin ?
1. HMG CoA reductase inhibitor
2. Decarboxylase inhibitor
3. Activate lipoprotein lipase
4. Inhibits lipolysis

Correct answer: 1. HMG CoA reductase inhibitor

Explanation: Ans. is 'a1 i.e., HMG CoA reductase inhibitor o HMG CoA reductase inhibitors (statins)statins are the most efficacious and best tolerated hypolipidemia drugs.They competitive inhibit conversion of 3-Hydroxyl-3-methylglutaryl coenzyme A (HMG-CoA) to mevalonate (rate-limiting step in CH synthesis by HMG CoA reductase).Therapeutic doses reduce CH syntheses by 20-50%.This results in compensatory increase in LDL-receptor expression on liver also- increased.Important members of this group (HMG-CoA reductase inhibitory) are -o Lovastatino Simvastatino Atorvastatino Rosurvastatino Pon'astatinAlways remember -o Most potent statin is rosuvastatin > Atorvastatin > Fluvastatin = Lovastatino These drugs have no effect on lipoprotein (a)o Statin are most powerful LDL lowering agents. These drugs also lower T.G., VLDL and | HDL slightly.o Statins also posses antioxidant, anti-inflamatory and antiproliferative properties in addition to lipid - lowering effects. These are known pleio tropic effects of statin,o Parvastatin also causes decrease in plama fibrinogen levels.o Food |es the absorption of all drugs except parvastatin. All dmgs can be absorbed orally.o Lovastatin and simvastatin undergo extensive 1st pass metabolism and are administered as prodrugs,o Major adverse effects are myopathy & hepatoxicity.o Statins are 1st line drugs for Type Ha, lib & secondary hyperlipoproteinemia.